All of the following are true about Methicillin resistance in MRSA, except-
1. Resistance is produced as a result of altered PBP's
2. Resistance may be produced by hyperproduction of beta lactamase
3. Resistance is primarily mediated/transmitted plasmids
4. Resistance may be missed at incubation temperature of 370C during susceptibility testing

Correct answer: 3. Resistance is primarily mediated/transmitted plasmids

Explanation: Resistance in MRSA is chromosomally mediated (not plasmid mediated). Resistance is produced as a result of altered PBP's- mediated chromosomal mec A gene which codes for altered PBP- 2A. Resistance may be produced by hyperproduction of beta-lactamase Methicillin resistance is expressed more at 30degC than at 37degC. Therefore, resistance may be missed at incubation temperature at 37degC during susceptibility testing.